Which of the following ovarian tumor is most prone to undergo torsion during pregnancy:
1. Serous cystadenoma
2. Mucinous cystadenoma
3. Dermoid cyst
4. Theca lutein cyst

Correct answer: 3. Dermoid cyst